Gluteraldehyde is used to sterilize-
1. Endoscopes
2. Corrugated rubber anaesthetic tube
3. Plastic endotracheal tube
4. All of the above

Correct answer: 4. All of the above

Explanation: o 2% Glutaradehyde (cidex) is an aldehyde disinfectant with a broad spectrum of action against bacteria, fungi, viruses, as well as spores (slow action)
o It is most often used for equipment such as endoscopes that cannot be sterilized or disinfected by heat (cytoscopes bronchoscopes)
o Glutraldehyde is used for -
i) Cystoscopes and bronchoscopes
ii) Corrgated rubber anaesthetic tubes
iii) Face masks
iv) Plastic endotracheal tubes
v) Polythene tubing
vi) Endoscopes